Which of the following is antiasthmatic:
1. Histamine
2. Salbutamol
3. Acetylcholine
4. Serotonin

Correct answer: 2. Salbutamol